The following statements are true regarding Chlamydia except:
1. Erthromycin is effective for therapy of Chamydial infections
2. Their cell wall lacks a peptidoglycan layer
3. They can grow in cell free culture media
4. They are obligate intracellular bacteria

Correct answer: 3. They can grow in cell free culture media

Explanation: Unique properties of Chlamydia are
Chlamydia is an obligate intracellular parasite. This means they can survive only by establishing residence inside
Animal cells
They need their host's ATP as an energy source for their own cellular activity. They are energy parasites using a
Cell membrane transport system that uses ATP from the host system and gives out ADP.
This obligate intracellular existence makes it impossible to culture these organisms on nonliving artibacterial media.
Due to their small size and failure to grow in cell - free media they were considered to be viruses.
Chlamydiae grows in cultures of a variety of eukaryotic cell lines Me Coy or HeLa cells. It may be necessary to
Treat cells with poly anionic compounds such as DEAD-dextran to reduce the electrostatic barrier to infection.
Antimetabolite such as cycloheximide is added to favour competition for host cell amino acid pools. All types of
Chlamydiae proliferate in embryonated eggs particularly in the yolk sac.
The special features in structure and chemical composition of chlamydiae are
The outer cell wall resembles the cell wall of gram negative bacteria It has a relatively high lipid content
It is rigid but it does not contain typical bacterial peptidoglycan; perhaps it contains a Tetrapeptide linked matrix.
N Acetyl muramic acid also appears to be absent from chlamydiae cell wall
Antibiotic susceptibility of chlamydiae.
Penicillin binding proteins occur in chlamydiae cell wall and chlamydiae cell wall formation is inhibited by penicillins
And other drugs that inhibit transpeptidation of bacterial peptidoglycan. But remember the important point about t/t,
That cell wall inhibitors result in the production of morphologically defective forms but are not effective in clinical
Disease.
• Inhibitors of protein synthesis (tetracyclines, erythromycins) are effective in most clinical infections. Erythromycin
Or tetracyclines are considered the drug of choice for chlamydiae infections.